True statement regarding autosomal dominant disorder -
1. Present early in life
2. Complete penetrance common
3. New germ cell mutations in old fathers
4. -

Correct answer: 3. New germ cell mutations in old fathers

Explanation: . New germ cell mutations in old fathers